Metabolism of a drug primarily results in:
1. Activation of the inactive drug
2. Conversion of prodrug to active metabolite
3. Conversion of lipid soluble drugs to water soluble metabolites
4. Conversion of water soluble drug to lipid soluble metabolites

Correct answer: 3. Conversion of lipid soluble drugs to water soluble metabolites

Explanation: * Major aim of metabolism (Biotransformation) is to convert lipid-soluble (non-polar) drugs to water soluble (polar) drugs. * In the absence of metabolism, body will not be able to get rid of lipophilic substances, and they will become very long acting. * Biotransformation of drugs may lead to any of the following 1. Inactivation of an active drug 2. Conversion of active drug to its active metabolite 3. Activation of inactive drug (prodrug)